Ketone body is not utilised by -
1. Neurons
2. Kidney
3. Muscle
4. Liver

Correct answer: 4. Liver

Explanation: Ans. is 'd' i.e., Liver* Ketone bodies are synthesised in conditions of starvation and diabetes mellitus* They are synthesised by incomplete oxidation of fatty acids as oxaloacetate is unavailable* They get synthesised in liver* Rate limiting enzyme of ketone body synthesis is HMG CoA lyase* Ketone bodies get utilised in extrahepatic tissues including neurons (Ketone bodies can cross Blood brain barrier as they are polar), muscle cells and kidney* Ketone bodies can not be utilised in liver. Because liver lacks the enzyme Thiophorase or Succinyl CoA Acetoacetate CoA transferase.